Vitamin A is stored mainly as retinol esters in -
1. Kidney
2. Muscle
3. Liver
4. Retina

Correct answer: 3. Liver

Explanation: Ans. is 'c' Liver Absorption, transport and storage of vitamin A.Absorption in intestineof vitamin A derived from animal sourceRetinol esters present in the diet are hydrolyzed in the intestinal mucosa, releasing retinol and free fatty acids.of vitamin A derived from plant source. b carotenes derived from plant source is cleaved to yield retinol Transport of Vitamin to liverRetinol, derived either from the esters or from the cleavage and reduction of carotenes is reesterified to long chain fatty acids in the intestinal mucosa and secreted as chylomicron into the lymphatic system and transported to the liver as chylomicron remnants.Storage and release of Vitamin A in liver.Retinol esters contained in chylomicrons are taken up by, and stored in the liver, when needed retinol is released from the liver and transported to extrahepatic tissues by the plasma retinol binding protein (RBP).